Rate limiting step in cholesterol synthesis is:
1. HMG CoA synthetase
2. HMG CoA reductase
3. Thiokinase
4. Mevalonate kinase

Correct answer: 2. HMG CoA reductase

Explanation: HMG CoA reductase